Subcapsular orchiectomy is done for cancer of -
1. Testes
2. Prostate
3. Penis
4. Urethra

Correct answer: 2. Prostate

Explanation: Bilateral orchidectomy, whether total or subcapsular, will eliminate the major source of testosterone production in patients of carcinoma prostate.
• Orchidectomy is performed to carry out androgen ablation in the treatment of locally advanced (T3 or T4) disease or of metastatic disease.
• In 1941, prostate cancer was shown to be responsive to such treatment by Charles Huggins, the only urologist to win a Nobel Prize.
• Bilateral orchidectomy, whether total or subcapsular, will eliminate the major source of testosterone production.